A patient of Schizophrenia on neuroleptics, his psychotic symptoms gets relieved but developed sadness, talks less to others, remain on bed, all of following are likely causes except:
1. Parkinsonism
2. Major depression
3. Negative symptoms are still persisting
4. He is reacting to external stimuli

Correct answer: 4. He is reacting to external stimuli

Explanation: D i.e. He is reacting to external stimuliPost psychotic depressive disorder of schizophrenia occurs only during the residual phase of schizophrenia in 25%Differential diagnosis of post psychotic depressive disorder of schizophrenia are - Residual phase (negative symptoms) of schizophrenia- Adverse effects (eg. parkinsonism, akinesia, akathisia) of antipsychotic drugs - Schizoaffective disorder - depressive type